Griseofulvin is not useful in one of the following?
1. Tinea capitis
2. Tinea cruris
3. Tinea versicolor
4. Tinea pedis

Correct answer: 3. Tinea versicolor

Explanation: Ans. is 'c' i.e., Tinea versicolor o Griseofulvin is used orally only for dermatophytosis. o Antifungal drugs for Tinea versicolor are --> Azoles (Miconazole, itroconazole), Terbinafine, ciclopirox olamine, sodium thiosul fate, selenium sulfide.